Which is false about penicillium marefi -
1. Black colonies
2. Dimorphic fungi
3. Amphotericin B used for treatment
4. Causes fulminant infections in immunocompromised patients

Correct answer: 1. Black colonies

Explanation: Ans. is 'a' i.e., Black colonies Penicillium marneffei Penicillium morneffei cause serious disseminated disease with characteristic papular skin lesion in AIDS Patients in South-East Asia. The fungus is dimorphic, forming yeast-like cells that are often intracellular, resembling histoplasmosis, in infected tissues. The yeast phase (37degC) displays colonies that are white to tan, soft and dry. The most distinguishing characteristic of mould phase (at 25deg C) is the early presence of red pigment that diffuses into agar. The colonies start as pinkish-yellow and evolve into a bluish-green color in the center with a white periphery. It is associated with bamboo rat (Rhizomys sinensis) and has been isolated from their burrows and internal organs. Treatment is amphotericin B, followed by intracoazole to prevent relapse.